Drug producing Haematological side effect is:-
1. Nitrous oxide
2. Halothane
3. Ketamine
4. Sevoflurane

Correct answer: 1. Nitrous oxide

Explanation: Nitrous oxide inhibits Vitamin B12 dependent enzyme leading to Megaloblastic anemia and Peripheral Neuropathy.